A 35-year-old previously healthy woman complains of a severe, excruciating headache and then has a transient loss of consciousness. There are no focal neurologic findings. The next step in evaluation is:
1. CT scan without contrast
2. CT scan with contrast
3. Carotid angiogram
4. Holter monitor

Correct answer: 1. CT scan without contrast

Explanation: Ans. A. CT scan without contrasta. An excruciating headache with syncope requires evaluation for subarachnoid hemorrhage.b. Visualized on a non-contrast CT scan.